Meningococcal vaccine -
1. ACW135Y
2. ABCW135
3. CYW135 BRT
4. ABCY

Correct answer: 1. ACW135Y